Which of the following structure develops from third pharyngeal pouch?
1. Thymus
2. Thyroid glands
3. Superior parathyroid
4. Parafollicular C-cells

Correct answer: 1. Thymus

Explanation: The thymus develops from the endoderm of the third pharyngeal pouch HUMAN EMBRYOLOGY-INDERBIR SINGH TENTH edition-page no:135